Mean value of weight of a group of 10 boys was found to be 18.2 kg. Later it was found that weight of one of the boys was wrongly recorded as 2.0 kg that should have been 20 kg. The true mean weight of the group is -
1. 18.2 kg
2. 20.2 kg
3. 16.4 kg
4. 20 kg

Correct answer: 4. 20 kg

Explanation: Ans. is 'd' i.e., 20 Kg The weight of one boy was recorded wrongly that means the weight of other 9 child was recorded correctly.